Important effects of aspirin include all of the following, EXCEPT:
1. Reduction of fever
2. Reduction of prostaglandin synthesis in inflammed tissues
3. Respiratory stimulation when taken in toxic dosage
4. Reduction of bleeding tendency

Correct answer: 4. Reduction of bleeding tendency

Explanation: Aspirin clearly increases bleeding tendency (by its antiplatelet effects). EFFECTS OF ASPIRIN ON THE BLOOD: Irreversible inhibition of platelet function is the mechanism underlying the cardioprotective effect of aspirin. Patients with severe hepatic damage, hypoprothrombinemia, vitamin K deficiency, or hemophilia should avoid aspirin because, the inhibition of platelet hemostasis can result in hemorrhage. Care should also be exercised in the use of aspirin during long-term treatment with oral anticoagulant agents because of the combined danger of prolongation of bleeding time coupled with blood loss from the gastric mucosa. On the other hand, aspirin is used widely for the prophylaxis of thromboembolic disease, especially in the coronary and cerebral circulation, and is coupled frequently with oral anticoagulants in patients with bioprosthetic or mechanical heart valves. Ref: Grosser T., Smyth E. (2011). Chapter 34. Anti-inflammatory, Antipyretic, and Analgesic Agents; Pharmacotherapy of Gout. In L.L. Brunton, B.A. Chabner, B.C. Knollmann (Eds), Goodman & Gilman's The Pharmacological Basis of Therapeutics, 12e.